Dwarf tapeworm refers to
1. Echinococcus
2. Loa loa
3. Hymenolepis nana
4. Schistosoma hematobium

Correct answer: 3. Hymenolepis nana

Explanation: EponymParasiteThermophilic amoeba/ Brain eating parasiteNaegleria fowleri Fish tape worm / Broad tape worm Diphyllobothrium latum Beef tape worm Taenia saginata Pork tape worm Taenia solium Dog tape worm Echinococcus granulosus Dwarf tape worm Hymenolepis nanaRat tape wormHymenolepis diminutaOriental blood fluke Schistosoma japonicum Chinese liver fluke / Oriental liver fluke Clonorchis sinensis Sheep liver flukeFasciola hepatica Lancet fluke Dirocoelium dendriticum Giant intestinal fluke Fasciolopsis buski Oriental lung fluke Paragonimus westermani Trichina worm Trichinella spiralis Whip worm Trichuris trichiura Hook worm Ancylostoma duodenale , Necator americanus Round worm Ascaris lumbricoides Seat worm / Pin worm / Thread worm Enterobius vermicularis African eye worm Loa loa Convoluted filaria / Blinding filarialOnchocerca volvulus Dog heart worm Dirofilaria immitis Guinea worm Dracunculus medinensis Rat lung worm Angiostrongylus cantonensisAns: C (Ref: K.D Chatterjee 13th edition, p166)